Rotter's nodes are located between:
1. Serratus anterior and trapezius
2. Latissimus dorsi and serratus anterior
3. Pectoralis major and pectoralis minor
4. Deltoid and pectoralis major

Correct answer: 3. Pectoralis major and pectoralis minor

Explanation: Rotter's nodes are located between Pectoralis major and pectoralis minor. Pectoralis minor divides the lymph node drainage as follows: LevelI: below the lower edge of the pectoralis minor muscle. Level II: underneath/posterior the pectoralis minor muscle. Level III: above/medial the pectoralis minor muscle. During mammary gland surgery, if we want to preserve pectoralis major, rotter's nodes should be preserved, Anterior pectoral lymph nodes, posterior subscapular lymph nodes both drain into central lymph nodes lateral to pectoralis minor.